Vitamin K is necessary for the formation of the following factors by the liver except
1. Factor II
2. Factor VII
3. Factor IX
4. Factor V

Correct answer: 4. Factor V

Explanation: Vitamin K is an essential factor to a liver carboxylase that adds a carboxyl group to glutamic acid residues on five of the important clotting factors: prothrombin, Factor VII, Factor IX, Factor X, and protein C. Ref: Guyton and Hall textbook of medical physiology 13th edition. Page:490